All of the following are true about Dandy Walker malformation EXCEPT?
1. It is due to the failure of opening of foramen of Magendie
2. 4th ventricle forms a cyst in the posterior fossa
3. Cerebellum remains normal
4. Delayed development and spasticity may be seen.

Correct answer: 3. Cerebellum remains normal

Explanation: Dandy Walker malformation: It is d/t failure of opening of foramen of Magendie Results in balooning of posterior wall of 4th ventricle to form a cyst in posterior fossa. Associated with other cerebral & cerebellar anomalies . - Clinical features : Delayed development, spasticity and cerebellar ataxia.